A person consumes diet having only pulses on daily basis. Pulses are deficient in which amino acid:
1. Lysine
2. Methionine
3. Leucine
4. Arginine

Correct answer: 2. Methionine

Explanation: Methionine